A 25-year-old man comes to the physician because of headache, dizziness, and bilateral leg claudication, Physical examination shows hypertension in the upper limbs and hypotension in the lower limbs. 

Which of the following additional findings is mostly likely in this patient?
1. Aortic valvular stenosis
2. Notching of inferior margins of ribs
3. Patent ductus arteriosus
4. Vasculitis involving the aortic arch

Correct answer: 2. Notching of inferior margins of ribs